All of the following are features of SLE except?
1. Sterile vegetations on valve cusps
2. Raynaud's phenomenon
3. Atherosclerosis
4. Idiopathic pulmonary nodules

Correct answer: 4. Idiopathic pulmonary nodules

Explanation: Shrinking lung syndrome is a feature of SLE but it is characterized by diaphragmatic myopathy leading to appearance of small lungs radiologically. Pulmonary fibrosis due to interstitial inflammation is seen in SLE. Premature atherosclerosis is a recognized feature of secondary anti-phospholipid syndrome. The vegetations in Libman sacks endocarditis are sterile and seen on inferior surface of valve cups N.S.I.P is common in connective tissue disorders . But remember that U.I.P is more commonly seen in Rheumatoid arthritis than N.S.I.P Clinical manifestations of SLE at onset and during disease. Signs and Symptoms Prevalence at Onset Prevalence at any Time Arthralgia 77% 85% Rashes 53% 78% Constitutional 53% 77% Kidney involvement 38% 74% Arthritis 44% 63% Raynaud phenomenon 33% 60% CNS involvement (most commonly headache) 24% 54% GI (most commonly abdominal pain) 18% 45% Lymphadenopathy 16% 32% Pleurisy 16% 30% Pericarditis 13%